Which of the following is the most cranial structure in the root of the left lung?
1. Pulmonary artery
2. Bronchus
3. Pulmonary vein
4. Bronchial artery

Correct answer: 1. Pulmonary artery

Explanation: pulmonary artery is seen in upper part of left lung root.